Zonules of zinn:
1. Provide stability to eyeball
2. Suspend the lens
3. Are attached at posterior pole of lens
4. Are attached to extraocular muscles

Correct answer: 2. Suspend the lens

Explanation: Zonules of zinn suspend the lens and enable the ciliary muscles to act upon them. Suspensory ligaments of lens : Also called zonules of zinn & ciliary zonules. Consist of fibres passing from ciliary body to lens. Extend from ora serrata to edge of the lens. Hold the lens in position. Enable the ciliary muscles to act upon them in accommodation.